One of the following in adult female genital tract is not affected by gonococcal infections :
1. Vulva
2. Vagina
3. Cervix
4. Fallopian tube

Correct answer: 2. Vagina

Explanation: Vagina